In a patient P02 is 85 mmHg, PCO2 - 50mmHg, pH is 7.2 and HCO3 is 32 meq/l is suffering from :
1. Respiratory acidosis with compensatory metabolic alkalosis
2. Respiratory acidosis with compensatory metabolic acidosis
3. Metabolic acidosis
4. Metabolic alkalosis

Correct answer: 1. Respiratory acidosis with compensatory metabolic alkalosis

Explanation: Answer is A (Respiratory acidosis with compensatory metabolic alkalosis) Because primary respiratory component is causing acidosis and metabolic component is compensatory by producing alkaosis, the acid base disorder is Respiratory acidosis with compensatory metabolic alkalosis.